Secondary cementum is generally confined to:
1. Cervical third of the root
2. Middle third of the root
3. Apical third of the root No
4. secondary cementum forms

Correct answer: 3. Apical third of the root No